Filters of which metal that is used to remove long wave
length X-rays from the primary beam is:
1. Platinum
2. Aluminium
3. Copper
4. Lead

Correct answer: 2. Aluminium